A 55-year-old female presents with abdominal pain, distension, ascites and dyspnea. Her CA 125 levels are elevated. The most likely diagnosis is;
1. Ca ovary
2. Ca cervix
3. Calimg
4. Symphoma

Correct answer: 1. Ca ovary

Explanation: - the diagnosis is epithelial ovarian cancer. -the age of its peak incidence is between 50-60 years. - serum CA-125 is the tumor marker for epithelial ovarian cancer. CA-125 is more useful in the postmenopausal woman with adenexal mass. - the common symptoms are abdominal pain with distension, loss of weight and abnormal uterine bleeding. - ascites is a common sign. Reference : textbook of gynaecology Sheila balakrishnan, 2nd edition, pg no: 273,274,275.